36 year G2 P1 comes for antenatal visit at 10 weeks gestation. Her first child was female with ambiguous genitalia at birth, died at 6 months of age due to metabolic problem. Since this is her precious pregnancy, How would you counsel regarding risk of having child with ambiguous genitalia
1. No risk of having affected child in subsequent pregnancies
2. Double the risk of having affected child
3. Baby will have one in four chance of having same disability
4. This pregnancy is unaffected, but future pregnancies carry high risk

Correct answer: 3. Baby will have one in four chance of having same disability

Explanation: This case scenario is suggestive of congenital adrenal hyperplasia. This is autosomal recessive disorder. 
So, if any couple has had one affected child, subsequent baby has 1 in 4 chance of having similar disability.